After 3 days of birth, the base of the umbilical cord is red and swollen. It indicates
1. Normal phenomenon
2. CHF
3. Infection
4. Clotting factor deficiency

Correct answer: 3. Infection

Explanation: Redness or edema at the base of umbilical cord indicate inflammatory changes and infectionIt is called as omphalitis(Refer: Nelson's Textbook of Pediatrics, SAE, 1st edition, pg no. 890, 811)